Gastric lavage is contraindicated in which of the following poisoning?
1. Organophosphorous
2. Dhatura
3. Kerosene
4. Copper sulphate

Correct answer: 3. Kerosene

Explanation: Ans. c (Kerosene). (Ref. Parikh, Textbook of FMT, 5th/684)GASTRIC LAVAGE# Useful only in first hour of ingestion# Should be used in patients with altered sensorium# Should not be used in (contraindicated) in patients with ingestion of alkalies and acids, kerosene poisoning and in stupourous and comatose patients.